Fasciculation are caused by
1. Suxamethonium
2. Pancuronium
3. d-TC
4. Vecuronium

Correct answer: 1. Suxamethonium

Explanation: Fasciculations are the characteristic feature of depolarising block. Succinylcholine is the depolarising muscle relaxant. d-tubocurare, vecuronium and pancuronium are the non-depolarising muscle relaxants.